Periodicity is a characteristic feature in which sinus infection
1. Maxillary sinus infection
2. Frontal sinus infection
3. Sphenoid sinus infection
4. Ethmoid sinus infection

Correct answer: 2. Frontal sinus infection

Explanation: A frontal headache is usually severe and localized over affected sinus. 
It shows characteristic periodicity, ie., comes upon waking, gradually increases and reaches its peak by about midday and then starts subsiding.
It is also called "an office headache" because of its presence during the office hours.